Penile growth occurs during SMR stage
1. 1
2. 2
3. 3
4. 4

Correct answer: 3. 3

Explanation: In males, the first visible sign of puberty and the hallmark of SMR2 is the testicular enlargement. Penile growth occurs during stage 3.Reference: Nelson Textbook of Paediatrics; 20th edition